Iron deficiency anemia is characterized by -
1. Increased porphyrin
2. Increased MCHC
3. Increased ferritin level
4. Increased TIBC

Correct answer: 4. Increased TIBC

Explanation: Ans. is 'd'i. e., Increased TIBC Features of iron deficiency anemia are1) Perpheral blood pictureo There is microcytic hypochromic anemia (microcytosis precedes hypochromia).o Other features include :a) Poikilocytosis in the form of pencil cells (small, elongated red cells)b) Target cellsc) Ring / pessary cells (central pallor occupies whole cell and only peripheral rim of hemoglobin is seen)o There is decrease in MCV, MCH and MCHC. RDW is increased. There may be thrombocytosis.2) Bone marrow featureso Bone marrow is hypercellular with erythroid hyperplasia : There is depleted bone marrow iron which is detected by prussian blue staining of bone marrow aspirates. Bone marrow iron decreases earlier than serum iron.3) Various indicesa) Decreased: Serum ferritin 'earliest9 (normal is 30-400 jug/dl), iron (normal 50-170 pg/dl), percentage saturation /transferrin saturation (normal is 33%), and bone marrow iron store.b) Increased: Total iron binding capacity (TIBC), serum transferrin (free transferrin), red cell free protoporphyrin, and hepacidin level.